Which of the following is a differential diagnosis for tuberculous arthritis of the hip joint?
1. Rheumatoid arthritis
2. Perthes disease
3. Septic arthritis
4. All of the above

Correct answer: 4. All of the above

Explanation: Ans. D. All of the aboveSeptic arthritis of low grade and rheumatoid arthritis are other causes for monoarthritis of the hip joint and thereby are important differential diagnoses to be kept in mind.Even an inguinal lymphadenopathy or psoas abscess may present with a flexion deformity of the hip because of the spasm of iliopsoas.Congenital dislocation of the hip, coxa vara, and Perthes disease are other causes of a limp at that age.